Percentage of females with oligomenorrhea in PCOs:
1. 50%
2. 60%
3. 70%
4. 80%

Correct answer: 4. 80%

Explanation: Ans. is d, i.e. 80%Ref: Shaw 15th/ed, p370Patients of PCOS develop early oligomenorrhea (87%) or short period of amenorrhea (26%) followed by prolonged periods.